Most sensitive test for diagnosis of infectious mononucleosis:
1. Monospot test
2. Paul Bunnel test
3. Lymphocytosis in peripheral smear
4. Culture of the virus

Correct answer: 1. Monospot test

Explanation: Ans. a. Monospot